Most common infectious agent associated with chronic pyelonephritis is:
1. Proteus vulgaris
2. Klebsiella pneumonia
3. Staphylococcus
4. E.Coli

Correct answer: 4. E.Coli

Explanation: Chronic pyelonephritis: Bacteriological examination of the urine reveals: E.Coli ( most common ) Proteus species Streptococcus faecalis Pseudomonas species Microscopic features: Tubular thyroidization (filled with colloid casts) Interstitial fibrosis and inflammation Obliterative endarteritis of vessels